Indirect ophthalmoscopy is done for:
1. Central retina
2. Periphery of retina
3. Sclera
4. Angle of ant. Chamber

Correct answer: 2. Periphery of retina

Explanation: B i.e. Periphery of retina Indirect ophthalmoscopy is done for examination of periphery of retina upto ora serrata Q where as direct ophthalmoscopy can show slightly beyond equator.